Duodenal atresia is associated with:
1. Down's syndrome
2. Patau's syndrome
3. Turner's syndrome
4. Edward's syndrome

Correct answer: 1. Down's syndrome

Explanation: ASSOCIATED ANOMALIES WITH DUODENAL ATRESIA - prematurity, DOWN SYNDROME,polyhydramnios malrotation ,annular pancreas ,biliary atresia cardiac , renal, esophageal , anorecatal anomaies.